Red degeneration of fibroid occurs most commonly in:
1. 3rd trimester
2. 2nd trimester
3. 1 st trimester
4. Postpartum

Correct answer: 2. 2nd trimester

Explanation: Red degeneration of fibroid : Most commonly in Second Trimester . Occurs when the fibroid overgrows its own blood supply. The middle of the fibroid becomes red and soft- a process known as Red degeneration - causing pain and possibly fever. Management of a fibroid with red degeneration in pregnancy is conservative. 'Never Operate' a fibroid in pregnancy since it can cause a lot of bleeding.